Which of the following structures pass through the aortic hiatus of the diaphragm?
1. Inferior vena cava
2. Oesophagus
3. Vagus nerve
4. Azygos vein

Correct answer: 4. Azygos vein

Explanation: Aortic hiatus is located at the T12 vertebral level, behind the two crura. The left and right crura form the left and right borders of the aortic opening. The aortic opening allows passage for the aorta, the azygos vein, hemiazygos vein and the thoracic lymphatic duct. The caval opening allows passage for the inferior vena cava and branches of the right phrenic nerve. The esophageal opening allows passage for the esophagus and the left and right vagus nerves. The esophageal branches of the left gastric artery and the esophageal tributaries of the left gastric vein also passes through this opening.